All of the following vitamins are involved in sulphur containing amino acid metabolism except?
1. Vitamin B3
2. Vitamin B6
3. Vitamin B9
4. Vitamin B12

Correct answer: 1. Vitamin B3

Explanation: Vitamin B6, B9 and B12 are involved in sulphur containing amino acid metabolism. Vitamin B6 (Pyridoxine) is the co-enzyme of cystathionine b synthase. Vitamin B9 (Folic acid) and B12 (Cobalamin) are involved in the conversion of homocysteine to methionine by methionine synthase. Clinical importance: Reference: Harpers illustrated biochemistry 30th edition